Endoscope wash with dirty water is associated with ?
1. M. tuberculosis
2. M. bovis
3. M. chelonea
4. M. ulcerans

Correct answer: 3. M. chelonea

Explanation: .endoscope wash with dirty water is often associated with a wide spectrumof clinical manifestations which mainly includes infection by mycobacterium chelonae.it belongs to the non tuerculous bacteria and is grouped under rapidly growing bacteria. ref:SRB's manual of surgery,ed 3,pg no 499